Yoke muscle for right superior rectus is:
1. Left superior rectus
2. Left inferior oblique
3. Left inferior rectus
4. Left superior oblique

Correct answer: 2. Left inferior oblique

Explanation: Ans. Left inferior oblique